All of the following can cause megakaryocytic thrombocytopenia,except:
1. Idiopathic thrombocytopenic purpura
2. Systemic lupus erythematosus
3. Aplastic anemia
4. Disseminated intravascular coagulation

Correct answer: 3. Aplastic anemia

Explanation: Magakaryocyte is a precursor of platelet.any peripheral destruction of platelets cause increased activity of bone marrow resulting in megakaryocytic thrombocytopenia because of compensatory increase in megakaryocytes. However if thrombocytopenia occurs due to any defect in the bone marrow itself, the compensatory increase in megakaryocytes will not occur.this is known as amegakaryocytic or hypoplastic thrombocytopenia.(ref Harrisons 17th/719,720,667-668)